A 6 years old boy has been complaining of headache, ignoring to see the objects on the sides for four months. On examination, he is not mentally retarded, his grades at school are good, and visual acuity is diminished in both the eyes. Visual charting showed significant field defect. CT scan of the head showed suprasellar mass with calcification. Which of the following is the most probable diagnosis?
1. Astrocytoma
2. Craniopharyngioma
3. Pituitary adenoma
4. Meningioma

Correct answer: 2. Craniopharyngioma

Explanation: The given scenario suggests diagnosis of craniopharyngioma. CRANIOPHARYNGIOMA Derived from Rathke's pouch Presents with signs of increased intracranial pressure, including headache, vomiting, papilledema, and hydrocephalus. Associated with hypopituitarism (90%), diabetes insipidus (10%) & growth retardation (50%) Treatment involves transcranial or transsphenoidal surgical resection followed by postoperative radiation of residual tumor.